All of the following are positive features of Schizophrenia except:
1. Thought disorder
2. Anhedonia
3. Visual hallucination
4. Delusion of persecution

Correct answer: 2. Anhedonia

Explanation: Ans. B. AnhedoniaSchizophrenia is characterized by loss of insight into illness without disturbance of consciousness, memory and intelligence Patients may present with positive symptoms (such as conceptual disorganization, delusions, or hallucinations) or negative symptoms (loss of function, anhedonia, alogia, avolition, diminished social engagement) and must have at least two of these for a 1-month period and continuous signs for at least 6 months to meet formal diagnostic criteria. As individuals age, positive psychotic symptoms tend to attenuate and some measure of social and occupational function may be regained. "Negative" symptoms predominate in one-third of the schizophrenic population and are associated with a poor long-term outcome and a poor response to drug treatment.